Pulmonary veins develop from:
1. Sixth aortic arch
2. Primitive left atrium
3. Left common cardinal vein
4. Left vitelline vein

Correct answer: 2. Primitive left atrium

Explanation: According to some authorities, pulmonary veins develop from the left atrial wall. There is no consensus about whether the pulmonary vein arise as a branch from the left atrium and obtains a connection to the lung plexus OR the pulmonary vein forms as a solitary vessel in the dorsal mesocardium =give rise to 4 pulmonary veins = secondarily get absorbed into wall of left atrium Fig. : Absorption of pulmonary veins into the left atrium. RPV = right pulmonary vein; LPV = left pulmonary vein.